Aschoff bodies in rheumatic heart disease show all of the following, except:
1. Antischkow cells
2. Epitheloid cells
3. Giant cells
4. Fibrinoid necrosis

Correct answer: 2. Epitheloid cells

Explanation: Ascoff bodies constitute: Fibrinoid degeneration Necrosis surrounded by T cells , Plasma cells and macrophages called as Antischow cells (Pathognomic of RF) These macrophages have abundant cytoplasm and central round-to-ovoid nuclei (occasionally binucleate) in which the chromatin condenses into a central, slender, wavy ribbon (hence the designation "caterpillar cells"). Some of the large altered histiocytes become multinucleated to form Aschoff Giant cells.